Posthumous birth is;
1. Child born after death of father
2. After death of mother during delivery
3. After death of both parents
4. None

Correct answer: 1. Child born after death of father

Explanation: Posthumous Child: It is a child born after the death of its father; the mother being conceived by the said father. Legal issues involved are: Legitimacy Inheritance of property Compensation case for slander against the mother.